Denominator of infant mortality rate is ?
1. Per live birth
2. Per 100 live births
3. Per 1000 live births
4. Per lakh live births

Correct answer: 3. Per 1000 live births

Explanation: Infant mortality rate is no.of deaths of children less than 1year of age in a year divided by no.of live births in the same year.REF.PARK'S TEXTBOOK OF PREVENTIVE AND SOCIAL MEDICINE.Editon-21.Page no.-523